Cholesterol is a predominant lipid in
1. LDL and HDL
2. HDL and VLDL
3. Chylomicron and VLDL
4. IDL and HDL

Correct answer: 1. LDL and HDL

Explanation: LDL and HDL lipoproteins are the major carrier of cholesterol . Reference: Harpers illustrated biochemistry 31st edition page 248